Metrifonate is effective against:
1. Amoebiasis
2. Leishmaniosis
3. Schistosomiasis
4. Giardiasis

Correct answer: 3. Schistosomiasis

Explanation: Schistosomiasis